In an average young adult male, water constitutes about ______ % of the body weight.
1. 40
2. 50
3. 60
4. 70

Correct answer: 3. 60

Explanation: Body is composed of about 60-70% water.
Osmolality of the intra and extracellular fluid is the same, but there is a marked difference in the solute content.